All of the following are true regarding proteoglycans, EXCEPT:-
1. Chondroitin sulfate is a glycosaminoglycan
2. They hold less amount of water
3. They are made up of sugar and aminoacids
4. They carry negative charge

Correct answer: 2. They hold less amount of water

Explanation: Chondroitin sulfate is a glycosaminoglycan -> option 1 is true Proteoglycan = core protein (Amino acid) + Glycosaminoglycan (sugar) -> option 3 is true Sulfate and acetyl groups confer negative charge to the amino acids -> option 4 is true As they are negatively charged, they can hold large amount of water, therefore -> option 2 is wrong.